Half life of lead in bone is:
1. 1 year
2. 10 years
3. 20 years
4. None of the above

Correct answer: 3. 20 years

Explanation: The half-life of lead compounds in the human body is, as a general rule, long, but it varies according to the tissue. Besides, it is almost impossible to determine its elimination rates, since the bones may have a large quantity ready to mobilize into the blood stream. Nevertheless, some halflives are known for blood (3-4 weeks) and bones (20-27 years). Ref: